Treatment of 42 year old obese man with blood glucose 450 mg, urine albumin 2+ Sugar 4+ Ketone 1+ is -
1. Insulin
2. Glibenclamide
3. Glipizide
4. Metformin

Correct answer: 1. Insulin

Explanation: Answer is option 1 - insulin. Presence of sugar & ketone bodies in urine and hyperglycemia suggests diabetic ketoacidosis. Treatment of choice for diabetic ketoacidosis is insulin Ref Harrison 17 /p2073